Delayed hypersensitivity involves:
1. Neutrophils
2. Monocytes
3. Eosinophils
4. Lymphocytes

Correct answer: 4. Lymphocytes

Explanation: Ans. is 'd' i.e., Lymphocytes (Ref: Ananthanarayan, 9th/e, p. 167 and 8th/e, p. 168)* Reaction is mediated by sensitized T-lymphocytes which, on contact with specific antigen, release lymphokines that cause biological effects on macrophages, leucocytes and tissue cells.* Delayed type by CD4 Th1 cell.